Most common cause of primary hyperparathyroidism-
1. Iatrogenic
2. Medullary carcinoma thyroid
3. Parathyroid adenoma
4. Parathyroid hyperplasia

Correct answer: 3. Parathyroid adenoma

Explanation: Most common cause of primary hyperparathyroidism is autonomous secretion of parathyroid hormone (PTH) by a parathyroid adenoma. Single adenoma (90%), multiple adenomas(4%), nodular hyperplasia(5%), carcinoma(1%). Reference : page 769 Davidson's Principles and practice of Medicine 22nd edition